Hyaline casts are seen in
1. Acute tubular necrosis
2. Thrombotic microangiopathy
3. Normal urine
4. Pyelonephritis

Correct answer: 3. Normal urine

Explanation: Hyaline casts
Normal urine , Febrile disease, diuretics thereapy, prerenal azotemia.